Most common symptom associated with adult OCD?
1. Pathological doubt
2. Need for symmetry
3. Sexual
4. Aggressive

Correct answer: 1. Pathological doubt

Explanation: (a) Pathological doubt, Ref: Complete review of psychiatry by Dr. Prashant Agrawal, ed.,, 2018, ch- 7, pg. 164 Explanation: Variable % Obsessions (N=200) Contamination 45 Pathological doubt 42 Somatic 36 Need for symmetry 31 Aggressive 28 Sexual 26 Other 13 Multiple obsessions 60 Compulsions (N=200) Checking 63 Washing 50 Counting 36 Need to ask for confess 31 Symmetry and precision 28 Hoarding 18 Multiple compulsions 48